A boy age 8 years came to your dental clinic with no crowding in both arches. Lateral cephalogram reveals SNA angle of 78 and SNB angle of 82 the line of treatment is
1. Reverse pull head gear with chin cap
2. Frankel III (n) reverse activator
3. Surgery in both maxilla and mandible followed by definite orthodontic treatment
4. Extraction followed by orthodontic treatment

Correct answer: 1. Reverse pull head gear with chin cap